Insulin inhibits ketogenesis by all except
1. Inhibiting lipolysis
2. Increased esterification of fatty acids
3. Directing acetyl-CoA to TCA cycle
4. Increasing b-oxidation

Correct answer: 4. Increasing b-oxidation

Explanation: Insulin inhibits lipolysis in adipose tissue due to inhibition of hormone-sensitive lipase Insulin depresses HMG CoA synthase and so ketogenesis is decreased In the presence of insulin, acetyl CoA is completely utilized in the citric acid cycle because oxaloacetate generated from glucose is available in plenty. Insulin also favours fatty acid synthesis from acetyl CoA. All these factors reduce the availability of acetyl CoA so that production of ketone bodies reduced.Ref: DM Vasudevan, 7th edition, page no: 322